Pyruvate kinase is inhibited by -
1. Insulin
2. Fructose -1,6 bisphosphate
3. ATP
4. All of the above

Correct answer: 3. ATP

Explanation: Ans. is 'c' i.e., ATPPyruvate Kinaseo This enzyme catalyzes conversion of PEP to pyruvate.o Pyruvate kinase is an inducible enzyme that increases in concentration with high insulin level and decreases with glucagon.o It is activated by fructose-1,6 bisphosphate and inactivated by ATP and alanine.